How long should a palatal crib should be worn by a patient being extracted for thumb sucking habit
1. One week
2. One month
3. Three months
4. Six months or longer

Correct answer: 4. Six months or longer